Corkscrew esophagus is seen in -
1. Diffuse esophageal spasm
2. Achalasia Cardia
3. Carcinoma of esdophagus
4. Esophageal web

Correct answer: 1. Diffuse esophageal spasm

Explanation: Ans. is 'a' i.e., Diffuse esophageal spasm o Radiological appearances of diffuse esophageal spasm have been described as:# Curling esophagus# Corkscrew esophagus or# Pseudodiverticulosis